Translocation of bcr-abl gene is characteristically seen in -
1. Chronic myeloid leukemia
2. Acute myeloid leukemia
3. Chronic lymphatic leukemia
4. Acute lymphatic leukemia

Correct answer: 1. Chronic myeloid leukemia